All of the following are major complications of massive blood transfusion except?
1. Hyperthermia
2. Hyperkalemia
3. Coagulopathy
4. Hypocalcemia

Correct answer: 1. Hyperthermia

Explanation: Massive blood transfusion refers to transfusion of >1 blood volume in 24 hours or >50% blood volume within 3 hours Complications: Hypothermia (MC) Hyperkalemia The presence of citrate toxicity will lead to hypocalcemia as citrate and calcium will chelate. Dilutional thrombocytopenia explains the coagulopathy component.